True about diabetes in pregnancy are all except
1. Glucose challenge test is done between 24-28 weeks
2. 50gm of sugar is taken for screening test
3. Insulin resistance improves with pregnancy
4. Diabetes control before conception is important to prevent malformations

Correct answer: 3. Insulin resistance improves with pregnancy

Explanation: Carbohydrate Metabolism in Pregnancy Normal pregnancy is characterized by mild fasting hypoglycemia, postprandial hyperglycemia, and hyperinsulinemia There is increased basal level of plasma insulin in normal pregnancy Insulin sensitivity in late normal pregnancy is 45 to 70 percent lower than that of nonpregnant women The mechanism(s) responsible for insulin resistance is not completely understood Progesterone and estrogen may act, directly or indirectly, to mediate this insensitivity Plasma levels of placental lactogen increase with gestation, and this protein hormone is characterized by growth hormone-like action Reference: William's Obstetrics; 24th edition; Chapter 4